Which of the following is used for medical adrenalectomy?-
1. Mitotane
2. Methotrexate
3. Doxorubicin
4. 5-Fluorouracil

Correct answer: 1. Mitotane